The blood supply of the medulla comes from all of the following, EXCEPT:
1. Posterior inferior cerebellar artery
2. Vertebral artery
3. Spinal arteries
4. Superior cerebellar artery

Correct answer: 4. Superior cerebellar artery

Explanation: Blood supply to the medulla is supplied byAnterior spinal artery: The anterior spinal artery supplies the whole medial part of the medulla oblongata.Posterior inferior cerebellar artery: It is a major branch of the vertebral artery that supplies the posterolateral part of the medulla.Vertebral artery: It supplies an area between the other two main arteries, including the nucleus solitarius and other sensory nuclei and fibres. Ref: Morton D.A., Foreman K.B., Albertine K.H. (2011). Chapter 16. Brain. In D.A. Morton, K.B. Foreman, K.H. Albertine (Eds), The Big Picture: Gross Anatomy